A woman has 2 kids. She presents with galactorrhea and amenorrhea for 1 year. The most probable diagnosis is:
1. Pregnancy
2. Pituitary tumor
3. Sheehan's syndrome
4. Metastasis to pituitary from other carcinoma

Correct answer: 2. Pituitary tumor

Explanation: The female in the question is presenting with galactorrhea and amenorrhea for 1 year which raises the suspicion for pituitary tumor i.e. prolactinoma/pituitary adenoma.
Pituitary Adenomas:
Most common pituitary adenoma is prolactionomas